During pregnancy HIV transmission occurs mostly during:
1. 1st trimester
2. 2nd trimester
3. 3rd trimester
4. During labour

Correct answer: 4. During labour

Explanation: HIV can be transmitted from infected mother to fetus during:- Pregnancy Delivery Breast feeding Transmission during birth and the immediate period there after (peripartum) is considered to be most common. Transmission to the fetus can be as early as first and second trimester of pregnancy also Absence of prophylactic ART to mother during pregnancy, labor and delivery and to the fetus following birth, the probability of transmission of HIV from mother to infant range from 15-25% in industrialized countries and 25-35% in developing countries